True about klinefelter syndrome:a) XXYb) X0c) Male hypogonadismd) Female hypogonadisme) ↑FSH
1. acd
2. ace
3. cde
4. ade

Correct answer: 2. ace